HPV oncogene expression is
1. E1E2
2. E1E3
3. E3E5
4. E6E7

Correct answer: 4. E6E7

Explanation: The oncogenic potential of HPV can be related to production of two early viral genes E6&E7 Together they interact with variety of growth regulating proteins encoded by protooncogene and tumour suppressor genes E6- binds to and mediate the degradation of p53 E7-binds to Rb protein and release E2F transcription factor,also inactivates the CDKIs Robbins basic pathology 9th edition chapter 5 pageno. 202